The hernia which often simulates a peptic ulcer is -
1. Umbilical hernia
2. Fatty hernia of the linea alba
3. Incisional hernia
4. Inguinal hernia

Correct answer: 2. Fatty hernia of the linea alba